Auto nephrectomy is seen in
1. Sickle cell anemia
2. Renal T.B.
3. Sarcoidosis
4. Lymphoma

Correct answer: 2. Renal T.B.